Marker for carcinoma colon is:
1. AFP
2. CA-125
3. CEA
4. HCG

Correct answer: 3. CEA

Explanation: Ans. C: CEA